Statistical analysis of data of various studies done in same matter is called as -
1. Meta analysis
2. Data review
3. Propaganda
4. Cohort study

Correct answer: 1. Meta analysis

Explanation: Ans. is 'a'i.e., Meta analysis Meta analysiso Meta-analysis refers to the analysis of analyses. It is the statistical analysis of a collection of individual studies,o Meta-analysis is a statistical technique for amalgamating, summarising, and reviewing previous quantitative research. By using meta-analysis, a wide variety of questions can be investigated, as long as a reasonable body of primary research studies exist. Selected parts of the reported results of primary studies are entered into a database, and this "meta-data" is "meta-analyzed", in similar ways to working with other data - descriptively and then inferentially to test certain hypotheses.o The appeal of meta analysis is that it in effect combines all the research on one topic into one large study with many participants. The danger is that in amalgamating a large set of different studies the construct definitions can become imprecise and the results difficult to interpret meaningfully,o In a meta-analysis, research studies are collected, coded, and interpreted using statistical methods similar to those used in primary data analysis. The result is an integrated review of findings that is more objective and exact than a narrative review. By accumulating results across studies, one can gain a more accurate representation of the population relationship than is provided by the individual study estimators.